Stress fracture not involves:
1. Metatarsals
2. Metacarpals
3. Tibia
4. Calcanium

Correct answer: 2. Metacarpals

Explanation: B ie. Metacarpals